Inorganic phase of the composites aid in:
1. Increasing the mechanical strength
2. Decreasing the coefficient of thermal expansion
3. Reducing the polymerization shrinkage
4. All of the above

Correct answer: 4. All of the above